Shortest acting local anaesthetics ?
1. Lignocaine
2. Bupivacaine
3. Etidocaine
4. Chlorprocaine

Correct answer: 4. Chlorprocaine

Explanation: Ans. is 'd' i.e., Chlorprocaine Short duration Low potency Intermediate duration (30-90 min) Intermediate potency Long duration (> 120 min) High potency Chloiprocaine (shortest acting) Procaine Lignocaine o Mepivacaine o Prilocaine a Cocaine Bupivacaine o Tetracaine o Etodicaine o Ropivacaine Dibucaine (longest acting)